A lady presented with creamy white vaginal discharge with fishy odour, drug of choice is aEUR'
1. Doxycycline
2. Ofloxacin
3. Metronidazole
4. Clindamycin

Correct answer: 3. Metronidazole

Explanation: Metronidazole This is a case of bacterial vaginosis D.O.C. of bacterial vaginosis Metronidazole Features Vulvovaginal candidiasis Trichomonal vaginitis Bacterial Vaginosis Etiology Candida albicans Trichomonas Trich vaginalis vaginitis Symptoms Vulval itching irritation Profuse purluent discharge M alodorus slightly increased discharge Colour White White or yellow White or gray Inflammation vulvar or vaginal epithelium Erythema of vaginal epithelium Erythema of vaginal and vulvar epithelium None Amine "fishy"odour with KOH None Sometimes Present